Facial artery arises at the level of:
1. Below hyoid bone
2. Above hyoid bone
3. Hyoid bone
4. Above Styloid process

Correct answer: 2. Above hyoid bone